NIH swab is used to demonstrate
1. Enterobius
2. Trichuris
3. Ancyclostoma
4. Necator

Correct answer: 1. Enterobius

Explanation: NIH (National Institute of health swab) is used in diagnosis of Enterobius.